In grand rapid survey (1945) of water fluoridation, which city was used as control?
1. Kingston
2. Muskegon
3. Oakpark
4. Evanston

Correct answer: 2. Muskegon